OCP's intake cause psychiatric symptoms, and abdominal pain. Diagnosis is:
1. Acute intermittent porphyria
2. Systemic lupus
3. Thrombosis
4. Anemia

Correct answer: 1. Acute intermittent porphyria

Explanation: Ans. is a, i.e. Acute intermittent porphyriaRef: Harrison 17th/ed, p2439Patient taking OCP's and presenting with abdominal pain and psychiatric problem, diagnosis is undoubtedly acute intermittent porphyria as OCP's can precipitate porphyria.Some drugs which precipitate porphyria are:* BarbituratesSulfonamide antibiotics * Meprobamate Gluthemide* Phenytoin Carbamazepine* Valproic acid Pyrazolones* Griseofulvin Ergots* Synthetic estrogen/progestogen (OCP)Danazol* Alcohol Succinimide